The main function of Vitamin C in the body is -
1. Coenzyme for energy metabolism
2. Regulation of lipid synthesis
3. Involvement as antioxidant
4. Inhibition of cell growth

Correct answer: 3. Involvement as antioxidant

Explanation: Ans. is 'c' i.e., Involvement as antioxidant Vitamin C ( Ascorbic acid)o Ascorbic acid (Vitamin C) is also called antiscorbutic factor. It is very heat labile, especially in basic medium. Ascorbic acid itself is an active form. Maximum amount of vitamin C is found in adrenal cortex,o Ascorbic acid functions as a reducing agent and scavanger of free radicals (antioxidant). Its major functions are:- In collagen synthesis: - Vitamin C is required for post-translational modification by hydroxylation of proline and lysine residues converting them into hydroxyproiine and hydroxy lysine. Thus vitamin C is essential for the conversion of procollagen to collagen, which is rich in hydroxyproiine and hydroxylysine. Through collagen synthesis, it plays a role in formation of matrix of bone, cartilage, dentine and connective tissue.Synthesis of norepineph rine from dopamine by dopamine-b-monoxygenase (dopamineb-hydroxylase) requires Vitamin C.Carnitine synthesisBile acid synthesis :- 7-a-hydroxylase requires vitamin C.Absorption of iron is stimulated by ascorbic acid by conversion of ferric to ferrous ions.During adrenal steroid synthesis, ascorbic acid is required during hydroxylation reactions.Tyrosine metabolism : - Oxidation of P-hydroxy-phenylpyruvate to homogentisate.Folate metabolism : - Folic acid is converted to its active form tetrahydrofolate by help of Vitamin C.